Which of the following local anaesthetics belongs to the ester group ?
1. Procaine
2. Bupivacaine
3. Lignocaine
4. Mepivacaine

Correct answer: 1. Procaine